Most common cause of spontaneous SAH -
1. Trauma
2. Aneurysm
3. AV malformation
4. Hypertension

Correct answer: 2. Aneurysm